Interleukin 2 is secreted by
1. CD4 cells / T helper cell
2. Macrophage
3. CDS cells
4. Common T cell

Correct answer: 1. CD4 cells / T helper cell

Explanation: (A) CD4 cells / T helper cell# Interleukin - 2: Is produced by - T-helper cell or CD4 cells Function - It causes T cell growth & activation> Interleukin -1: Is secreted by phagocytes Function - T cell activation; Fever; Cachexia> Interleukin - 3: Produced by T cells Function: Hematopoiesis> Also remember: II-4, IL-6, IL-8, IL-10, IL-12 T cell, Mast cell, T cell Macrophage, Macrophages, T cells, B cells, macrophage